French osteotomy is used in treatment of ?
1. Cubitus varus
2. Cubitus valgus
3. Coxa vara
4. Coxa valga

Correct answer: 1. Cubitus varus

Explanation: Ans. is 'a' i.e., Cubitus varus Cubitus yarns Cubitus varus, also known as a "gunstock deformity", is the most common complication of supracondylar fracture humerus, due to malunion. It is called gunstock because the deformity resembles a rifle gunstock. The three static deformities of cubitus varus are (all with respect to distal fragment):-i) Extension, ii) Medial rotation, iii) Varus (corona! tilt). All these three components should be corrected during the initial reduction of the fracture otherwise cubitus varus deformity results. Treatment of cubitus varus Cubitus varus is only a cosmatic deformity with no functional impairment of the elbow. Treatment of choice is corrective supracondylar osteotomy. Surgery is deferred until skeletal maturity for the fear of recurrence of deformity, if surgery is done before skeletal maturity. Osteotomy methods are :- Lateral close wedge osteotomy (French or modified French) Medial open wedge osteotomy (King's osteotomy) Derotation osteotomy